Head of sperm is derived from:
1. Golgi Body.
2. Nucleus
3. Mitochondria.
4. Centromere

Correct answer: 2. Nucleus

Explanation: Ans. B. NucleusThe spermatozoon consists of head, neck, and tail. The tail is further divided into three parts: middle piece, principle piece, and end piece.a. The head mainly consists of a nucleus that contains the condensed chromatin material (mostly DNA).b. Anterior two-third of the nucleus is covered by an acrosomal cap that contains various enzymes including hyaluronidase and acrosin.c. Neck contains a funnel-shaped basal plate and a centriole. The centriole gives rise to axial filament that extends throughout the tail.d. Middle piece contains the axial filament in the center that is surrounded by spirally arranged mitochondrial sheath.